Infectious mononucleosis affects?
1. B-cells
2. T-cells
3. NK cells
4. Macrophages

Correct answer: 1. B-cells

Explanation: Ans. (a) B-cells(Ref: Wintrobe's 12th/pg 1589-1593)Pathogenesis of Infectious Mononucleosis: Caused by Ebstein Barr Virus (EBV) Q infectionEntry of EBV in the oral cavity QEBV initially infects oral epithelial cells a symptoms of pharyngitis. QIntracellular Q viral replication and cell lysis with release of new virionsVirus spreads to contiguous structures such as the salivary glands QEventual viremia & infection of B lymphocytes Q in the peripheral blood & entire lymphoreticular system, including liver & spleen.DOWNY cells are atypical CD8+ T lymphocytes that are characteristic of infectious mononucleosis QDOWNY cells exhibit both suppressor & cytotoxic Q functions that develop in response to the infected B lymphocytes.